Superior cerebral veins drains into -
1. Great cerebral vein
2. Vein of galen
3. Superior sagittal sinus
4. Inferior sagittal sinus

Correct answer: 3. Superior sagittal sinus

Explanation: Superior cerebral veins drain into superior sagittal sinus.